Colonic polyp that has maximum chance of malignant
1. Hyperplastic polyp
2. Adenomatous polyp
3. Juvenile polyp
4. Polyp of Peutzeger syndrome

Correct answer: 2. Adenomatous polyp

Explanation: Ans. is 'b' i.e., Adenomatous polyp